The malignancy of most common occurance in children is which of the following?
1. Leukemia
2. Lymphoma
3. Wilm's tumor
4. Neuroblastoma

Correct answer: 1. Leukemia

Explanation: The most common tumors found in children are leukemias (30%) followed by brain tumors (22%), lymphomas (11%), neuroblastoma (8%), soft tissue sarcoma (7%), Wilm's tumor (6%), bone tumors (5%) and others (11%). Ref: Nelson 11th Edition, Page 1694: 17th Edition, Page 1694; Essentials of Pediatric Radiology: A Multimodality Approach, By Heike E. Daldrup-Link, Charles A. Gooding Cambridge University Press, 02-Sep-2010 - Pg 187 3. Cancer in Children and Adolescents, By William L. Carroll, William Larkin Carroll, Jonathan Finlay.